The tonsils are derived from which of the following branchial pouch?
1. 1st branchial pouch
2. 2nd branchial pouch
3. 3rd branchial pouch
4. 4th branchial pouch

Correct answer: 2. 2nd branchial pouch

Explanation: Endoderm of the second pharyngeal pouch forms the stratified squamous, nonkeratinized epithelium lining the tonsillar crypts on pharyngeal surface of tonsil. The mesoderm forms lymphoid tissue, fibrous capsule, and connective tissue elements of tonsil. Pharyngeal pouch derivatives:First pouch: eustachian tube, tympanic cavity, endodermal lining of eardrumSecond pouch: palatine tonsilsThird pouch: thymus and inferior parathyroid glandsFourth pouch: superior parathyroid, part of thymusFifth pouch: parafollicular cells of thyroidRef: Textbook of Clinical Embroyology By Vishram Singh page 116. A Textbook of Neuroanatomy By Maria Patestas.